Most common bacteria associated with conjunctivitis is
1. Staphylococcus aureus
2. Streptococcus pneumoniae
3. Haemophilus influenzae
4. Neisseria gonorrhoea

Correct answer: 1. Staphylococcus aureus

Explanation: Ans. Staphylococcus aureus